Inheritance of "Familial Hypercholesterolemia" is:
1. AD
2. AR
3. X Linked dominant
4. X linked recessive

Correct answer: 1. AD

Explanation: AD Autosomal Dominant